Size of the laryngeal mask airway for normal adults-
1. 2.5
2. 3
3. 1.5
4. 4

Correct answer: 4. 4

Explanation: LMA size 1 1.5 2 2.5 3 4 5 Patient size Upto 5 kg 5-9kg 10-19kg 20-29kg 30-49kg 50-69kg 70-100kg